At isoelectric pH proteina) Have Net charge '0'b) Are positively chargedc) Are negatively chargedd) Don't migrate
1. ad
2. c
3. ac
4. ab

Correct answer: 1. ad

Explanation: its isoelectric pH, amino acid bears no net charge and does not move (migrate) in an electric field.